Contents of rectus sheath are all except:
1. Rectus abdominis
2. Superior epigastric artery
3. Inferior epigastric artery
4. Musculophrenic artery

Correct answer: 4. Musculophrenic artery

Explanation: Ans. D. Musculophrenic arteryThe rectus sheath, also called the rectus fascia, is formed by the aponeuroses of the transverse abdominal and the external and internal oblique muscles. It contains the rectus abdominis and pyramidalis muscles, superior and inferior epigastric artery and lower sic thoracic nerves. It can be divided into anterior and posterior laminae.